Heterotopic pregnancy is
1. Pregnancy occurring in both tubes
2. Extrauterine and intrauterine pregnancy
3. Ovarian and tubal pregnancy
4. Cervical pregnancy

Correct answer: 2. Extrauterine and intrauterine pregnancy

Explanation: A heterotopic pregnancy is a rare complication of pregnancy in which both extra-uterine (ectopic pregnancy) and intrauterine pregnancy occur simultaneously. Incidence of this has now increased to around 1 in 3000 pregnancies due to the advent of IVF. It may also be referred to as a combined ectopic pregnancy /multiple sited pregnancy, or co-incident pregnancy.